A 45-year old female had sought medical attention for her recent increase in weight and proximal limb weakness. She was diagnosed with rheumatoid arthritis. 1 week ago has been started on prednisolone tablets. Physical examamination revealed truncal obesity; BP - 145/90 mm Hg and PR- -90/ mill. High levies of cortisol were found in her blood and 24 hour urine sample. A high dose dexamethasone suppression test was performed and the plasma cortisol level was suppressed. Serum ACTH level was high. The etiology of this condition can be confirmed by
1. CT scan of the chest
2. MRI of the brain
3. CT scan of the abdomen
4. Plasma metanephrine level

Correct answer: 2. MRI of the brain

Explanation: Most of the signs and symptoms of ACTH-secreting tumors come from having too much cortisol (an adrenal steroid hormone). But quite a few diseases can cause the body makes too much cortisol, which is called Cushing's syndrome. If you have symptoms suggesting this syndrome, you'll need tests to see if it's caused by a pituitary tumor or something else. One of the tests used measures the levels of cortisol in your saliva late at night to see if they stay elevated. (They normally drop at night.) Another may include measuring levels of cortisol and ACTH in blood samples taken at different times of the day. You also may be asked to collect all of your urine over a 24-hour period, which is then tested to measure your daily production of cortisol and other steroid hormones. One test involves taking a dose of a powerful, cortisone-like drug called dexamethasone, then checking blood or urine cortisol levels. Often more than 1 of these tests is needed to help distinguish ACTH-secreting pituitary tumors from other diseases, such as adrenal gland tumors, that can cause similar symptoms. MRI scans to diagnose and monitor head injuries and to check for abnormalities in the head or brain. Magnetic resonance imaging (MRI) scans provide 3-D images of specific body parts. The scan produces highly detailed images from every angle to rule out various carcinomas such as endocrine cancers,brain tumors haemorrages Ref Davidson 23rd edition pg 678